The otopathology in the case of Alport syndrome is:
1. Defect in the cochlear basement membranes
2. Defect in conduction
3. Defect in the vestibulocochlear nerve
4. None of the above

Correct answer: 1. Defect in the cochlear basement membranes

Explanation: The otopathology in AS is a defect in the cochlear basement membranes. Type IV collagen chains in the active tuning of the basilar and tectorial membrane which is an essential step in frequency discrimination and amplification of auditory signals are affected. Ref: Dan Med Bull 2009; 56:105-52